Renal angle lies between:
1. 12th rib & lateral border of sacrospinalis
2. 11th rib & lateral border of sacrospinalis
3. 12th rib & lateral border of quadratus lumborum
4. 11th rib & lateral border of quadratus lumborum

Correct answer: 1. 12th rib & lateral border of sacrospinalis

Explanation: 12th rib & lateral border of sacrospinalisRenal angle lies between the lower border of 12th rib and outer border of erector spinae (sacrospinalis) muscleQ. It is the area where tenderness in kidney can be elicited.